An aromatic amino acid is
1. Lysine
2. Tyrosine
3. Taurine
4. Arginine

Correct answer: 2. Tyrosine

Explanation: Aromatic amino acids: Phenylalanine, Tyrosine.
Reference: Vasudevan 7th  ed, pg 24